Infants of diabetic mother have the followings –
1. Macrosomia
2. Neural tube defect
3. Hypocalcemia
4. All of these

Correct answer: 4. All of these

Explanation: Congenital anomalies seen in babies born to diabetic mother:
Cardiac malformations

Ventricular or atrial septal defect                    o Double-outlet right ventricle
Transposition of great vessels                        o Coarctation of the Aorta.
Truncus arteriosus

Congenital anomolies other than cardiovascular system

Neural tube defects                                        o Situs inversus
Hydronephrosis                                             o Double ureter
Renal agenesis and Dysplasia                        o Holoprosencephaly
Duodenal or anorectal atresia                          o Caudal regression syndrome